Cell wall deficient organisms are
1. Chlamydia
2. Mycoplasma
3. Streptococcus
4. Anaerobes

Correct answer: 2. Mycoplasma

Explanation: Ans. is 'b' i.e., Mycoplasma Mycoplasma Smallest free living organism, are prokaryotes Lack cell wall, are bounded by a triple layered unit membrane that contains sterol (therefore mycoplasmas require sterol for growth). Their lack of cell wall is associated with cellular pleomorphism and resistance to cell wall - active antimicrobial agents, such as penicillins and cephalosporins (13 - lactam drugs). Multiplication is by binary fission. Unique among prokaryotes is the requirment of most mycoplasmas for cholesterol and related sterols.